Most common malignant tumour of nasopharynx in children is:
1. Lymphoma
2. Rhabdomyosarcoma
3. Carcinoma
4. Neuroblastoma

Correct answer: 2. Rhabdomyosarcoma

Explanation: Rhabdomyosarcoma is the most common malignant tumour of the nasopharynx, though all of the above are seen with different frequency.